'Slapped cheeks' appearance is seen in:
1. Roseloa infantum
2. Erythema subitum
3. Erythema infectiosum
4. Erythema multiforme

Correct answer: 3. Erythema infectiosum

Explanation: C i.e. Erythema infectiosum